Retention of inlay is increased by
1. Increased axial length of preparation
2. flat pulpal walls
3. Rounded internal line angles
4. all of the above

Correct answer: 1. Increased axial length of preparation